Which of the following is not a myeloproliferative disease ?
1. Polycythemia vers
2. Acute myeloid leukemia
3. Chronic myeloid leukemia
4. Essential thrombocytosis

Correct answer: 2. Acute myeloid leukemia

Explanation: Ans. is 'b' i.e., Acute myeloid leukemia Chronic myeloproliferative disorders The disorders in this group are ? Chronic myeloid leukemia Essential thrombocytosis Polycythemia vera Primary myelofibrosis These disease are characterized by neoplastic proliferation of multipotent progenitor cell that is capable of giving rise to mature erythrocytes, platelets, granulocytes, monocytes and lymphocytes. An important feature of myeloproliferative disorders is that in their terminal phase they are characterized by marrow fibrosis and peripheral blood cytopenia. All of them can progress over time to acute leukemia, but only CML does so invariably. Remember CML, Polycythemia vera and essential thrombocytosis can progress to myelofibrosis in terminal stage.